Which of the following special stains can be used for the diagnosis of rhabdomyosarcoma -
1. Desmin
2. Cytokeratin
3. Myeloperoxidase
4. Synaptophysin

Correct answer: 1. Desmin

Explanation: . Desmin